ck 7 negative and ck 20 negative tumor is
1. Prostate carcinoma
2. Carcinoma colon
3. Urothelial carcinoma
4. Mesothelioma

Correct answer: 1. Prostate carcinoma

Explanation: Answer- A. Prostate carcinomaCK7- 1 CK20 - carcinoma of adrenal cortex, prostate